Anterior fontanelle closes at ____________
1. < 3months
2. 12months
3. 12-18months
4. > 3years

Correct answer: 3. 12-18months

Explanation: The posterior fontanelle generally closes 2 to 3 months after birth; The sphenoidal fontanelle is the next toclose around 6 months after birth; The mastoid fontanelle closes next from 6 to 18 months after birth; andRt. The anterior fontanelle is generally the last to close between 10-24 months. Ref : Nelson paediatrics Chapter : Growth and development